Which one of the following drugs is not used in the treatment of mycobacterium avium intercellulare infection ?
1. Clarithromycin
2. Eflornithine
3. Ethambutol
4. Rifabutin

Correct answer: 2. Eflornithine